Which second generation antihistaminic does not produce an active metabolite
1. Loratidine
2. Terfenadine
3. Cetrizine
4. None

Correct answer: 3. Cetrizine

Explanation: Ans. is 'c' i.e., Cetrizine Important facts about anhistaminics Loratidine, desloratidine, ebastine and mizolastine are amongst the longest acting antihistaminic (duration of action 24 hrs). All second generation antihistaminics are metabolized to active products except cetrizine and mizolastine. Loratidine has least CNS depression action. Acrivastine is the shortest acting antihistaminic. Olopatodine is a recently approved topical HI-antihistaminic used as nasal spray for seasonal allergic rhinitis.